Which of the following represents a non deliberate cultural practice leading to anti-mosquito effect -
1. Use of alkaline detergent
2. Use of larvicidal agents
3. Use of bed nets
4. Use of repellents

Correct answer: 1. Use of alkaline detergent

Explanation: Larvicide agents are anti-larval measure. Bed net and repellants are used as protection against mosquito bites Park's Textbook of Preventive and Social Medicine, 25th Edition, Pg 832